What should not be done in a case of missile injury?
1. Incise skin generously
2. Incise fascia widely
3. Dress wounds with fluffed gauze
4. Repair tendons

Correct answer: 4. Repair tendons

Explanation: In a case of missile injury don't :Excise too much skinPractice keyhole surgeryRepair tendons or nervesRemove attached pieces of boneClose the deep fasciaInse synthetic prosthesesPack the woundClose the skin.